Social smile is attained at what age?
1. 2 months
2. 5 months
3. 9 months
4. 1 year

Correct answer: 1. 2 months

Explanation: Ans. is 'a' i.e., 2 months * Social smile develops at 2 months.* Other milestones that develop at 2 months of age# In ventral suspension, lifts his head in the horizontal plane (in the plane of the body).# Follows object with steady movements of eye.# In prone position face is lifted to about 45deg.